Astereognosis is seen in lesions of
1. Frontal lobe
2. Occipital lobe
3. Parietal lobe
4. Temporal lobe

Correct answer: 3. Parietal lobe

Explanation: (C) Parietal lobe # Lesions in the representational hemisphere produce astereognos is- inability to identify objects by feeling them-and other agnosias.> Agnosia is the general term used for the inability to recognize objects by a particular sensory modality even though the sensory modality itself is intact.> Lesions producing these defects are generally in the parietal lobe.> Especially when they are in the representational hemisphere, lesions of the inferior parietal lobule, a region in the posterior part of the parietal lobe that is close to the occipital lobe, cause unilateral inattention and neglect.